Most common ligament injured in ankle sprain -
1. Anteriortalofibular
2. Posteriortalofibular
3. Deltoid
4. Calcaneofibular

Correct answer: 1. Anteriortalofibular

Explanation: Ans. is 'a' i.e., Anterior talofibular Sprained ankleo It is a term used for ligament injuries of the ankle."The ankle joint is one of the most common sites of ligament injury with a higher recurrence rate compared to other ligament strains ".o The lateral collateral ligament is commonly sprained, mostly so the anterior talo-fibular component.o Medial collateral ligament is strong ligament and is not usually injured.o Sprained ankle (ligament injuries of the ankle) is commonly due to an inversion injury and the lateral collateral ligament is sprained.o Sometimes, an eversion force may result in a sprain of the medial collateral ligament.